In tandem cartridge , the number of bullets fired are : -
1. One bullet
2. Two bullet
3. Three bullet
4. Multiple bullets.

Correct answer: 2. Two bullet

Explanation: Duplex or tandem cartridge
Duplex or tandem cartridge this is used in military rifles and contains two bullets which enter the target at different points, seprated by as much as 30 cm.
The base of the forward bullet is notched , into which the second bullet fits closely.